Which one of the following is not a component of APGAR scoring in the newborn
1. Heart rate
2. Muscle tone
3. Raspiratory effort
4. Body temperature

Correct answer: 4. Body temperature

Explanation: Components of apgar score include heart rate,respiration, muscle tone, reflex ,color. Ref : Ghai essential of pediatrics ,eighth edition, p.no:126